Corpulence index is a measure of:
1. Copper level in the serum
2. Iron loss in faeces
3. Obesity
4. Income inequality

Correct answer: 3. Obesity

Explanation: Corpulence index= actual weight/ desirable weight A value above 1.2 indicates obesity Ref: Park 21st edition, page 178.